If FADH2 provides reducing equivalents to electron transport chain then ATP formed will be?
1. 1.5
2. 2.5
3. 3.5
4. 4.5

Correct answer: 1. 1.5

Explanation: ANSWER: (A) 1.5REF: Harper's 28 ed page 306See Biochemistry 2013 Session 2 for details of TCA/kerb cycleIf NAD H, provides reducing equivalents , then 2.5 ATP are producedIf FADH., provides reducing equivalents then, 1.5 ATP are produced